Heparin acts via activation of :
1. Antithrombin III
2. Factor VIII
3. Factor II and X
4. Factor V

Correct answer: 1. Antithrombin III